Structure developing from Mullerian duct in males?
1. Seminal vesicle
2. Epididymis
3. Prostatic utricle
4. Ureter

Correct answer: 3. Prostatic utricle

Explanation: Remnants of Mullerian duct (paramesonephric duct) in males are:- i) Appendix of testis (Hydatid of Morgagni) ii) Prostatic utricle.